Arthritis involving DIP, PIP, 1st carpometacarpal with sparing of MCP and wrist joints is typical of:
1. Osteoarthritis
2. Rheumatoid arthritis
3. Ankylosing spondylitis
4. Psoriatic arthritis

Correct answer: 1. Osteoarthritis

Explanation: Osteoarthritis characteristically involves distal interphalangeal joint (Heberden's node), proximal interphalangeal joint (Bouchard's node), 1st carpometacarpal joint (base of thumb) of hand with sparing of metacarpophalangeal joint and wrist joint. Fig. Joints involved in osteoarthritis